A 19 year old football player was hit in the lateral part of the knee just as he put his leg on the ground. Unable to walk without assistance, taken to the hospital. An MRI reveals a torn medial collateral ligament. Which structure is most likely to be injured due to its attachment at this ligament ?
1. Medial meniscus
2. Lateral meniscus
3. Anterior cruciate ligament
4. Posterior cruciate ligament

Correct answer: 1. Medial meniscus

Explanation: The medial meniscus is firmly attached to the medial collateral ligament.Damage to the medial collateral ligament causes concomitant damage to the medial meniscus. Anterior collateral ligament is torn in hyperextension. Ref: Gray's Anatomy The Anatomical Basics of Clinical Practice 41 e pg 1390.